Definite case of Polio is considered if -
1. Paralysis is for more than 6 weeks
2. Antibody titre is more than 4 times of normal value
3. Demonstration of Polio virus in stool
4. Acute encephalitis with paralysis

Correct answer: 3. Demonstration of Polio virus in stool

Explanation: In early stages polio is differentiated from other forms of AFP by analysing fecal specimens for the presence of polio virus. Two specimens are taken 24 hrs apart during to the first two weeks. Antibody titre acts as a supporting evidence and cannot be used for early diagnosis of the disease. All the other options given above are non specific for polio. Hence a definite case of polio is considered if polio virus can be demonstrated in stool. Reference: Park's textbook of preventive and social medicine. 23rd edition. Pg no:203